In which of the following deformities is the distal interphalangeal joint flexed and proximal interphalangeal joint extended ?
1. Boutonierre Deformity
2. Swan neck deformity
3. Z deformity
4. Claw Hand

Correct answer: 2. Swan neck deformity

Explanation: Answer- B. Swan neck deformitySwan neck deformity: Hyperextension of PIP joint and flexion at DIP joint.